Nalgonda technique is related to ?
1. Fluorine
2. Chlorine
3. Nitrate
4. Nitrites

Correct answer: 1. Fluorine